Nagler reaction is shown by:
1. Cl. difficle
2. Cl. perfringens
3. Cl. tetani
4. Cl. butryicum

Correct answer: 2. Cl. perfringens

Explanation: Ans. is. b' i. e. Cl. perfringens